Texas Statewide Preventive Dentistry program is also known as:
1. Sharp Program
2. Tattle Tooth Program
3. Smile Train Program
4. Theta Program

Correct answer: 2. Tattle Tooth Program

Explanation: "TATTLETOOTH PROGRAM" - TEXAS STATEWIDE PREVENTIVE DENTISTRY PROGRAM
The Tattle tooth Program was developed in 1974-1976 as a cooperative effort between Texas Dental health professional organizations, the Texas Department Health and the Texas Education Agency through a grant from the Department of Health and Human Services to the Bureau of Dental Health. The program was pilot tested in 1975 and field-tested in spring 1976 in schools within the state of Texas.
Essentials of preventive and community dentistry
Soben Peter
5th edition
page no. 229